Tc labelled RBC's are used for
1. Biliary tree
2. Renal disease
3. Pulmonary embolism
4. Spleenic disease

Correct answer: 4. Spleenic disease

Explanation: D i.e. Splenic disease Tc99 - labelled RBCs provides information about red cell pooling, so it is used in : Haerningioma detection Gastrointestinal bleedingQ Spleenic diseaseQ Cardiac ventriculography